Least (A-V )O2 difference is seen in
1. Hypoxic hypoxia
2. Anemic hypoxia
3. Stagnant hypoxia
4. Histotoxic hypoxia

Correct answer: 4. Histotoxic hypoxia

Explanation: Histotoxic hypoxia Cause Decreased ability of cell to use O2 Examples Cyanide poisoning PaO2 Normal Hb content Normal Arterial O2 content or %O2 saturation Normal A-V PO2 difference Decreased Peripheral chemoreceptor stimulation Present (toxin prevents chemoreceptor to use oxygen) Cyanosis Present